Presence of cut injuries in scrotum is suggestive of;
1. Suicidal wounds
2. Accidental wounds
3. Homicidal wounds
4. none of the above

Correct answer: 3. Homicidal wounds

Explanation: Presence of cut injuries in scrotum/ Genitalia is suggestive of Homicidal wound HOMICIDAL WOUNDS: They are usually multiple and can occur in any region of the body. Wounds of the chest are usually present over a wider area and are more horizontal. They may be directed from below upwards which is rarely seen in suicidal wounds. Incised wounds situated on the back, or in such a position as cannot be easily reached by a suicide, are homicidal. Incised wounds on nose, ears and genitals/Scrotum are usually homicidal, and are inflicted on account of jealousy or revenge in cases of adultery, causing disfiguration.